Roth spots are seen in?
1. Leukemia
2. Adreno-leukodystrophy
3. Metachromatic leukodystrophy
4. Gaucher disease

Correct answer: 1. Leukemia

Explanation: Roth spots are white-centered retinal hemorrhages seen on fundoscopic examination. These are found in infective endocarditis, leukemia and lymphoma.